Most detrimental methods of brusing causing damage to tooth soft tissues and hard tissues is:
1. Side to side
2. Bass
3. Up and down
4. Roll

Correct answer: 1. Side to side